Paralytic ileus is caused by
1. Peritonitis
2. Hyperkalemia
3. Acute intestinal obstruction
4. Head injury

Correct answer: 1. Peritonitis